Antiandrogen pill contains ?
1. Cyproterone acetate
2. Clomiphene citrate
3. Letrozole
4. None

Correct answer: 1. Cyproterone acetate

Explanation: Ans. is 'a' i.e., Cyproterone acetate Combined with ethinyl estrodiol, cyproterone acetate comes as combination form of birth control pill prescribed to women for its antiandrogenic effect to treat :? Hair loss (female pattern). Acne Hirsutism Seborrhoea Hidradenitis suppurativa